Association can be measured by all of the following expert -
1. Coorelation cofficient
2. Cronbach's alpha
3. P value
4. Odds ratio

Correct answer: 2. Cronbach's alpha

Explanation: Ans. is 'b' i.e., Cronbach's alpha o A correlation simply expresses the strength and direction of the relationship (association) between two variables in terms of a correlation coefficient. o P value tells whether an association is due to chance or not. The smaller the P value, the greater the statistical significance or probability that the association is not due to chance alone. o Odds ratio is the measure of the strength of association between risk factor and outcome. Option 'b' requires specific mention. Cronbach's alpha o Cronbach's alpha is an index of reliability. o Cronbach's alpha ranges in value from 0 to 1 and may be used to describe the reliability of factors extracted from dichotomous (that is, questions with two possible answers) and or multi-point formated questionnaires or scales (i.e., rating scale 1 = poor, 5 = excellent). o The higher the score, the more reliable the generated scale is.